Longest intracranial course is of -
1. Trochlear nerve
2. Abducent nerve
3. Optic nerve
4. Oculomotor nerve

Correct answer: 1. Trochlear nerve

Explanation: Ans. is 'a' i.e., Trochlear nerve o Trochlear nerve has the longest intracranial courseo Vagus nerve has the longest overall course (intracranial + extracranial).o Longest intracranial course-Trochlear nerveo Longest course overall and most widely distributed-Vaguso Smallest (thinnest) cranial nerve-Trochlear nerveo Largest (thickest) cranial nerve-Trigeminal nerveo The only cranial nerve arising from dorsal aspect-Trochlear nerveo Only cranial nerve decussating completely before emerging-Trochlear nerveo Cranial nerve most commonly involved in basal skull fracture-Facial nerveo Cranial nerve most commonly involved in raised intracranial tension-Abducent nerveo Commonest cranial nerve affected in spinal anaesthesia-Abducent nerveo Cranial nerve most commonly involved in intracranial aneurysm-Oculomotor nerveo Cranial nerves carrying parasympathetic fibers-3,7, 9, 10